The only fat-soluble vitamin that has coenzyme function
1. A
2. D
3. E
4. K

Correct answer: 4. K

Explanation: Vitamin k acts as a Coenzyme in the formation of g-carboxyglutamate in enzymes of blood clotting and bone matrix.All water-soluble vitamins act as coenzymes.Harper 30th edition pg: 550